Macerated foetus indicates :
1. Dead born
2. Still born
3. Live born
4. lUGR

Correct answer: 1. Dead born

Explanation: A i.e. Dead born